3rd generation of amalgam contains:
1. Ag+Sn
2. Ag+Sn+Zn+Cu
3. Ag-Sn+Ag-Cu
4. Alloy+Indium

Correct answer: 3. Ag-Sn+Ag-Cu

Explanation: Generations of Amalgams